Which of the following defines vertigo:
1. Ringing of ears
2. Subjective sense of imbalance
3. Sense of pressure in the ear
4. Infection of the inner ear

Correct answer: 2. Subjective sense of imbalance

Explanation: Ans. B: Subjective sense of imbalance In vertigo, patient gets a feeling of rotation of himself or of his environment. Vertigo ("a whirling or spinning movement") It is a type of dizziness, where there is a feeling of motion when one is stationary. The symptoms are due to a dysfunction of the vestibular system in the inner ear. It is often associated with nausea and vomiting as well as difficulties standing or walking. The most common causes are benign paroxysmal positional vertigo, concussion and vestibular migraine while less common causes include Meniere's disease and vestibular neuritis. Excessive consumption of ethanol (alcoholic beverages) can also cause notorious symptoms of vertigo. A number of conditions that involve the central nervous system may lead to vertigo including: migraine headaches, lateral medullary syndrome, multiple sclerosis Vertigo is a sensation of spinning while stationary. Repetitive spinning, as in familiar childhood games, can induce short-lived vertigo by disrupting the inertia of the fluid in the vestibular system Vertigo is classified into either peripheral or central depending on the location of the dysfunction of the vestibular pathway Peripheral: Vertigo caused by problems with the inner ear or vestibular system is called "peripheral", "otologic" or "vestibular". - The most common cause is benign paroxysmal positional vertigo (BPPV) but other causes include Meniere's disease, superior canal dehiscence syndrome, labyrinthitis and visual vertigo. - Any cause of inflammation such as common cold, influenza, and bacterial infections may cause transient vertigo if they involve the inner ear, as may chemical insults (e.g., aminoglycosides) or physical trauma (e.g., skull fractures). - Motion sickness is sometimes classified as a cause of peripheral vertigo. Central: If vertigo arises from the balance centers of the brain, it is usually milder, and has accompanying neurologic deficits, such as slurred speech, double vision or pathologic nystagmus. - Brain pathology can cause a sensation of disequilibrium which is an off-balance sensation.